Common between B and T cells -
1. Origin from same cell lineage
2. Site differentiation
3. Antigenic marker
4. Both humoral and cellular immunity

Correct answer: 1. Origin from same cell lineage

Explanation: The key cells in your immune system are lymphocytes known as B cells and T cells, which originate in our bone marrow. After T cells further develop in our thymus. Reff: www.mayoclinic.com